Tuberculin testing done at -
1. Dorsum of left arm
2. Dorsum of right arm
3. Ventral aspect of left forearm
4. Ventral aspect right forearm.

Correct answer: 3. Ventral aspect of left forearm

Explanation: Ans. is 'c' i.e., Ventral aspect of left forearm o In tuberculin test, injection is given intradermally on flexor (ventral) surface of left forearm, mid-wav between elbow & wrist.Intradermal injection of PPDon flexor aspect of forearm | Examined at 48-72 hours |||Induration > 10 mmInduration < 5 mmInduration 6-9 mm|||PositiveNegativeEquivocal | Repeat tuberculin test (two step testing)